All of the following ligaments contribute to the stability of ankle (talocrural) joint except
1. Calcaneonavicular (spring)
2. Deltoid
3. Lateral
4. Posterior talofibular

Correct answer: 1. Calcaneonavicular (spring)

Explanation: A. i.e. Calcaneonavicular ligament